Which of the following contains single flagella?
1. Treponema Pallidum
2. Escherichia Coli
3. Vibrio cholera
4. Heliobacter Pylori

Correct answer: 3. Vibrio cholera

Explanation: Ans. (c) Vibrio choleraeRef: Microbiology by Ananthanarayan and Paniker 8th ed. /302-305* Vibrio Cholerae is the organism with a single flagellum. Bacteria with a single flagellum are called monotrichous. Lophotrichous bacteria have multiple flagella located at the same end of the the bacteria (or a few sites) such as Helicobacter Pylori.* Endoflagella are spirochetes flagella which is not external to the bacteria but present within the cell from end to end of the cell providing rigidity to the cell and giving it the corkscrew movement.Amphitrichous bacteriaA. fecalisPeritrichous bacteriaE. ColiEndoflagellaSpirochetes